A five-year-old boy has precocious puberty along with BP 130/80 mm Hg. Estimation of which of the following will help in diagnosis?
1. 17-Hydroxyprogesterone
2. 11-Deoxycortisol
3. Aldosterone
4. DOCA

Correct answer: 2. 11-Deoxycortisol

Explanation: b. 11-Deoxycortisol(Ref: Nelson's 20/e p 2714-2723, Ghai 8/e p 526-527)Hypertension and precocious puberty in males can be seen in 11 beta hydroxylase deficiency, which can be diagnosed by increased 11 deoxy cortisol levels.